The optical axis of the eye meets the retina at a point which:
1. Coincides with the fovea centralis
2. Is nasal to the fovea centralis
3. Is temporal to the fovea centralis
4. Is nasal to optic disc

Correct answer: 2. Is nasal to the fovea centralis

Explanation: Ans. Is nasal to the fovea centralis